Specific term used for granulomatous inflammation of superior orbital fissure is
1. Cavernous sinus thrombosis
2. Tolosa Hunt Syndrome
3. Pseudotumor
4. Grave's Ophthalmopathy

Correct answer: 2. Tolosa Hunt Syndrome

Explanation: Tolosa Hunt Syndrome Specific term used for granulomatous inflammation of superior orbital fissure Painful Ophthalmoplegia Present as either Superior Orbital fissure syndrome/ Orbital apex syndrome Superior Orbital Fissure Syndrome Retro orbital Pain Sensory disturbances in ophthalmic division of 5th nerve Ipsilateral ophthalmoplegia due to 3rd , 4th, 6th nerve Ptosis due to 3rd nerve palsy Orbital Apex Syndrome Symptom complex produced by involvement of structures passing through superior orbital fissure and optical canal The features are similar to Superior orbital fissure syndrome Features of optic nerve involvement like early visual loss and RAPD are also present